Rotavirus infection is diagnosed by the presence of-
1. Antigen in stool by ELISA
2. Virus in stool
3. Antigen in blood
4. Antibody in stool

Correct answer: 1. Antigen in stool by ELISA